Gene responsible for semisynthetic penicillin resistance in Methicillin resistant Staph aureus (MRSA)?
1. Mec A
2. Mec B
3. Mec D
4. Mec C

Correct answer: 1. Mec A

Explanation: Methicillin resistance in S. aureus is mediated by a chromosomally coded gene called mec A gene, which alters penicillin-binding protein (PBP) present on S. aureus cell membranetoPBP-2a. * PBP is an essential protein needed for cell wall synthesis of bacteria. Beta lactam drugs bind and inhibit this protein, thereby inhibit the cell wall synthesis. * The altered PBP2a of MRSA strains has less affinity for beta lactam antibiotics; hence, MRSA strains are resistant to all beta lactam antibiotics.